Apple jelly nodules are seen in -
1. Syphilis
2. Scleroma
3. Lupusvulgaris
4. Leprosy

Correct answer: 3. Lupusvulgaris

Explanation: Ans. is 'c' i.e., Lupus vulgaris o Blenching the lesions of lupus with a glass slide (diascopy test) leads to appearance of grey green foci - apple jelly nodules.o Match-stick positive tot - apple jelly nodules have no resistance to pressure by a sharp match-stick.o Other characteristic features of lupus lesions are# Reddish brown (erythematous)# Annular in shape u Indurated# Slowly increase in size (gradually progressive)# Healing with tissue paper like scarring at centre (most common)# Peripheral crusting.# Reappearance of nodules on previously atrophic or scarred lesions is also characteristic.# Cartilage (ear, nose) in affected area is progressively destroyed (Lupus vorex). Bone is usually spared.